The Finnish type of congenital nephritic syndrome occurs due to gene mutation affecting the following protein –
1. Podocin
2. Alpha–actinin
3. Nephrin
4. CD2 activated protein

Correct answer: 3. Nephrin

Explanation: Congenital nephrotic syndrome

Infant who develop nephrotic syndrome within the first 3 months of life are considered to have congenital nephrotic syndrome.
The most common cause of this syndrome is finnish-type congenital nephrotic syndrome, an autosomal recessive disorder.
Two most common genes involved are -
i) NPHS1    -->  Coding for nephrin and results in finnish-type nephrotic syndrome.

ii) NPHS2 --> Coding for Podocin and results in FSGS.
Other important genes involved in steroid - resistant nephrotic syndrome